Klumpke's paralysis presents with all of the following clinical features except
1. Claw hand
2. Sensory loss along medial border of forearm
3. Horner's syndrome
4. Wrist drop

Correct answer: 4. Wrist drop

Explanation: Klumpke's ParalysisDamage to C8 and Tl segments is called Klumpke's paralysis. Small intrinsic muscles of the hand are affected. It leads to 'complete claw hand', i.e. extension of metacarpophalangeal joints and flexion of interphalangeal joints, loss of sensation on the medial side of the forearm.If Tl is injured proximal to the white ramus communicans to the first thoracic sympathetic ganglion, there is an associated Horner's syndrome. This is characterized by miosis or narrow pupil, partial ptosis or drooping of eyelid, enophthalmos or eye pushed inside the bony orbit and anhidrosis or absence of sweating on the side of the lesion.Ref: BD Chaurasia; Volume 1; 6th edition; Page no: 170